Which of the following is false about drugs used in rheumatoid arthritis?
1. Tofacitinib inhibits JAK1 and JAK3
2. Tocilizumab inhibits IL-6
3. Tofacitinib is given intravenously
4. Tocilizumab is given by intervenous and subcutaneous routes

Correct answer: 3. Tofacitinib is given intravenously

Explanation: Tofacitinib : Janus kinases are intracellular enzymes that modulate immune cell activity in response to the binding of inflammatory mediators to the cellular membrane. Tofacitinib is an oral inhibitor of Janus kinases indicated for the treatment of moderate to severe RA in patients who have had an inadequate response. Biological DMARDS: TNF - alpha IL -1R blocker IL-6 blocker Co stimulation inhibitor A: Adalimumab C: Certolizumab E: Etercenept I: Infliximab Goli: Golimumab ANAKINRA TOCLIZUMAB SARILUMAB ABATACEPT